Which of the following is not an approach for Inguinal hernia repair ?
1. Bassini's
2. Lotheissen
3. Lichtenstein's
4. Desarda

Correct answer: 2. Lotheissen

Explanation: Inguinal floor Reconstruction Primary tissue repair Anterior tension free repair Laparoscopic / Preperitoneal repair BASSINI'S SHOULDICE LICHENSTEIN(Gold standard) TEP (Totally extra peritoneal) TEP (Trans abdominal preperitoneal) Desarda:- mesh free inguinal hernia repair -Lotheissen is the Inguinal approach for Femoral hernia repair.